A patient on antidepressant therapy developed sudden hypertension on consuming cheese. The antidepressant is possibly:
1. Amitriptyline
2. Tranclypromine
3. Fluoxetine
4. Sertraline

Correct answer: 2. Tranclypromine

Explanation: This is case of cheese reaction due to MAO inhibitors (Tranclypromine) Monoamine oxidase inhibitor- These agents block the breakdown of tyramine in the gastrointestinal tract as well as in the brain resulting in elevated blood pressure, occipital headache, and other serious symptoms following ingestion of tyramine-rich foods (e.g., aged cheese and red wine)